Hyponatremia in multiple myeloma is -
1. TRUE
2. Relative
3. Absolute
4. Pseudo

Correct answer: 4. Pseudo

Explanation: • Patients with multiple myeloma also have a decreased anion gap  because the M component is cationic, resulting in retention of chloride.
• This is often accompanied by hyponatremia that is felt to be artificial (Pseudohyponatremia) because each volume of serum has less water as a result of the increased protein.